Concentration of fluoride in community water supplies as proposed by WHO in 1969 was-
1. 1.5 ppm
2. 1 ppm
3. 0.5 ppm
4. 2 ppm

Correct answer: 2. 1 ppm

Explanation: In 1969, WHO advocated that 1 ppm of fluoride in community water supplies was a practical and effective public health measure.